Superior thyroid artery originates from:
1. Internal carotid artery
2. External carotid artery
3. Facial artery
4. Maxillary artery

Correct answer: 2. External carotid artery

Explanation: Branches of the External Carotid Artery Superior thyroid arteryAscending pharyngeal arteryLingual arteryFacial arteryOccipital arteryPosterior auricular arterySuperficial temporal arteryMaxillary artery